CT in EDH shows ?
1. Hyperdense lesions
2. Crescent slaped
3. Concavo-convex
4. None

Correct answer: 1. Hyperdense lesions

Explanation: Ans. is'a'i.e., Hyperdense lesionsAcute extradural (epidural) hematoma is biconvex hyperdense or mixed density lesion.